Third hea sound is seen in all except -
1. Athletes
2. Mitral stenosis
3. Constrictive pericarditis
4. MI

Correct answer: 2. Mitral stenosis

Explanation: The third hea sound (S 3 ) occurs during the rapid filling phaseof ventricular diastole. It can be a normal finding in children,adolescents, and young adults; however, in older patients it signifieshea failure. A left-sided S 3 is a low-pitched sound best heard overthe left ventricular (LV) apex. A right-sided S 3 is usually betterheard over the lower left sternal border and becomes louder withinspiration. A left-sided S 3 in patients with chronic hea failure ispredictive of cardiovascular morbidity and moality. Interestingly,an S 3 is equally prevalent among hea failure patients with andwithout LV systolic dysfunction. Harrison's principle of internal medicine,20th edition,pg no.1534